Most common retained foreign body intraocularly -
1. Airgun pellets
2. Iron
3. Glass
4. Chisel and hammer

Correct answer: 2. Iron

Explanation: The foreign bodies most likely to penetrate and be retained in the eye are minute chips of iron or steel (accounting for 90% all foreign bodies in industry).